Consider the following conditions - 1. Central diabetes insipidus, 2. Uncontrolled diabetes mellitus, 3. Mannitol infusion, 4. Post - obstructive diuresis. Which of the above result in solute diuresis?
1. 1 and 2 only
2. 1, 2 and 3
3. 2, 3 and 4
4. 1, 3 and 4

Correct answer: 3. 2, 3 and 4